All are true about cancers during pregnancy, except:
1. Cancer develops during ~1 in every 1000 pregnancies.
2. Of all the cancers that occur in women, less than 1% seen in pregnant ladies
3. The four cancers most commonly developing during pregnancy are cervical cancer, breast cancer, melanoma, and lymphoma (usually Hodgkin's lymphoma)
4. Lymphoma is the most common cancer during pregnancy

Correct answer: 4. Lymphoma is the most common cancer during pregnancy

Explanation: Lymphoma is not the most common cancer during pregnancy, it is breast and cervical cancer. While early pregnancy is a protective factor against breast cancer in women as a whole, the breast cancers diagnosed during pregnancy are at an advanced stage of disease.